Esophagus starts at which level -
1. Upper border of cricoid cartilage
2. Lower border of cricoid cartilage
3. Thyroid cartilage
4. Hyoid cartilage

Correct answer: 2. Lower border of cricoid cartilage

Explanation: At the lower end of pharynx, at the level of lower border of cricoid cartilage, esophagus begins.